Acute complication of PEM – a)  Hypothermiab)  Hypoglycemiac)  Hypokalemiad)  Hypermagnesaemiae)  Eosinophilia
1. ab
2. bc
3. abc
4. bcd

Correct answer: 3. abc

Explanation: S → Sugar deficiency, i.e. Hypoglycemia
H → Hypothermia
I  → Infection and septic shock
EL → Electrolyte imbalance → reduced intracellular sodiurh, hypokalemia & hypomagnesemia.
DE → Dehydration
D → Deficiency of iron, vitamins and other micronutrients.